Endotoxins have all but one of the properties given below:
1. Produced by gram negative bacteria
2. Produced by gram positive bacteria
3. Not secreted outside the cell
4. Cannot be toxoided

Correct answer: 2. Produced by gram positive bacteria